A 50 year old male patient complains of heaviness of face, headache and blocked nose. Patient gives a history of chronic sinusitis. Waters view X-ray was taken. The patient position in this X-ray is:
1. Canthomeatal line parallel to film
2. Canthomeatal line at 37o with film
3. Canthomeatal line at -30o with film
4. Canthomeatal line at 10o with film

Correct answer: 2. Canthomeatal line at 37o with film

Explanation: Waters view- 
The image receptor is placed in front of the patient and perpendicular to the midsagittal plane. The patient’s head is tilted upward so that the canthomeatal line forms a 37-degree angle with the image receptor. If the patient’s mouth is open, the sphenoid sinus is seen superimposed over the palate.
White and Pharoah, Oral radiology, ed 7th, pg-161